Normal endothelial cell count in Corneal endothelium is
1. 500-1000 cells / sq.mm
2. 1500-2000 cells / sq.mm
3. 2000-2500 cells / sq.mm
4. 2500-3000 cells / sq.mm

Correct answer: 4. 2500-3000 cells / sq.mm

Explanation: Normal endothelial cell count in Corneal endothelium is 2500-3000 cells / sq.mm